All of the following nerves are at risk during submandibular gland excision except -
1. Lingual nerve
2. Marginal mandibular nerve
3. Auriculotemporal nerve
4. Hypoglossal nerve

Correct answer: 3. Auriculotemporal nerve

Explanation: Ans. is 'c' i.e., Auriculotemporal nerve Nerves at risk during surgery of submandibular glanda. Marginal mandibular nerve- supplies platysmab. Lingual nerve- supplies general sensation to tonguec. hypoglossal nerve- movements of tongue